PT is used to test ?
1. Extrinsic and common pathway
2. Intrinsic and common pathway
3. Intrinsic pathway
4. Extrinsic pathwa

Correct answer: 1. Extrinsic and common pathway

Explanation: Ans. is 'a' i.e., Extrinsic and common pathway Patients with hemophilia have deficiency of factor VIII that results in prolonged PTT.